A patient on phenytoin therapy develops depression, for which he was prescribed tricyclic anti–depressants. He now complains of lassitude and his Hb reading is 8 gm/dl, the next step in the management of this patient
1. Chest X ray
2. MCV should be estimated
3. GGT should be estimated
4. None of the above

Correct answer: 2. MCV should be estimated